Which of the following is most specific for acute pancreatitis in children ?
1. Amylase
2. Tryptase
3. Lipase
4. Chymotrypsin

Correct answer: 3. Lipase

Explanation: Three enzymes derived from pancreatic acinar cells--amylase, lipase, and the proenzyme trypsinogen--have been tested as biochemical markers of acute pancreatitis; serum amylase is the most commonly used of these in clinical practice. Reference: GHAI Essential pediatrics, 8th edition